Most commonly injured nerve in raised intracranial pressure
1. 3rd
2. 4th
3. 5th
4. 6th

Correct answer: 4. 6th

Explanation: MC nerve involved in increased ICT - Abducens (VI). Reasons : Longest intradural course Taking a sharp bend over apex of petrous part of temporal bone. Passing through the cavernous sinus, not supported laterally by any dura mater.